Which of the following is the most common endocrine tumour of pancreas -
1. Insulinoma
2. Gastrinoma
3. VIPoma
4. Glucagonoma

Correct answer: 1. Insulinoma

Explanation: Insulinomas are the most common pancreatic endocrine neoplasm Neoplasms of the pancreas are of 2 types. those arising from endocrine pancreas i.e. islet cells those arising from exocrine pancrease i.e. ducts & acini Pancreatic endocrine tumors or pancreatic islet cell tumors may be functioning (i.e. hormone producing) or nonfunctioning. More than half are functioning, secreting hormones that produce interesting clinical presentations. Functional pancreatic endocrine tumors are Insulinoma - arising from the b cells and producing insulin and symptoms of hypoglycemia Gastrinoma - arise from G cells and produe gastrin & Zollinger-Ellison syn. Glucagonoma - arise from a cells and produce glucagon and hyperglycemia Somatostatinoma - arise from 8 or D cells VlPomas GRFomas & many others Ref : Bailey 24/e page 1131